True about helicobacter pylori are all except -
1. Urea breath test is diagnostic
2. Grain negative, flagellate bacilli
3. Risk factor for development of adenocarcinoma of stomach
4. It provides life long immunity

Correct answer: 4. It provides life long immunity